Ureters are identified during surgery by :
1. Peristalsis d/t flow of urine
2. Rich arterial plexus
3. Relation to renal vein & artery
4. Relation to lumbar plexus

Correct answer: 1. Peristalsis d/t flow of urine

Explanation: A. i.e. Peristalsis due to flow of urineUreters are muscular ducts situated retroperitonially & are identified by peristalsisQ